Tinel's test is:
1. Loss of sensation.
2. Loss of 2 point discrimination.
3. Percussion produces tingling sensation.
4. Not associated with carpel tunnel syndrome.

Correct answer: 3. Percussion produces tingling sensation.